Immune granulomas are not seen in -
1. Tuberculosis
2. Syphilis
3. Silicosis
4. Berryliosis

Correct answer: 3. Silicosis

Explanation: Ans. is 'c' i.e., Silicosis o In silicosis, there is non-immune granuloma.